Most sensitive test for detection of argemone oil –
1. Nitric acid test
2. Paper chromatography
3. Phosphatase test
4. Methylene blue test

Correct answer: 2. Paper chromatography

Explanation: Paper chromatography is the most sensitive test.